Babu is brought to the emergency as a case of road traffic accident. He is hypotensive. Most likely ruptured organ is ?
1. Spleen
2. Mesentry
3. Kidney
4. Rectum

Correct answer: 1. Spleen

Explanation: Ans. is 'a' i.e., Spleen Most common abdominal organ to rupture following blunt trauma is spleen.